Treatment for malignant melanoma is -
1. Wide excision
2. Radiotherapy
3. Excision
4. Chemotherapy

Correct answer: 1. Wide excision

Explanation: Ans. is 'a' i.e., Wide excision Management of Malignant Melanomao Wide local excision of the primary tumor is the management of choice.The recommended margin of resection depends on the thickness of the tumor.Recommended Margins for Surgical Resection of Primary MelanomaTumor thicknessMargin Radius<1.0mm1.0cm1-4 mm2.0 cm>4 mm3.0 cm (Schwartz)Sabiston (18/ep773) and Harrison (17fep547) differ somewhat from Schwartz.According to Sabiston-Recommended Margins for Surgical Resection of Primary MelanomaTumor thicknessMargin RadiusIn situ0.5 cm<1.0 mm1.0 cm1-2 mm1.0-2.0 cm>2.0 mm> 2.0 cm (Sabiston)According to Harrison- Recommended Margins for Surgical Resection of Primary MelanomaTumor thicknessMargin RadiusIn situ0.5 cm< 1.0mm1.0cm> 1.0 mm2.0 cm (Harrison)o Sentinel lymph node biopsy is done for tumors more than 1 mm thick. If biopsy is positive complete lymph node dissection is done.Also knowTreatment of subungual melanoma - amputation of the distal digit to provide a 1 cm margin from the tumor. For fingers, amputation commonly involves only the distal phalanx; ray amputation is not required. (Sabiston 18/ep775)